The basis of Korotkoff sound is related to
1. Aortic valve closure
2. Production of heart sound
3. Arterial turbulence
4. Arterial valve expansion

Correct answer: 3. Arterial turbulence

Explanation: At the point at which systolic pressure in the artery just exceeds the cuff pressure, a spurt of blood passes through with each heartbeat and, synchronously with each beat, a tapping sound is heard below the cuff. The cuff pressure at which the sounds are first heard is the systolic pressure. As the cuff pressure is lowered further, the sounds become louder, then dull and muffled. These are the sounds of Korotkoff. The sounds of Korotkoff are produced by turbulent flow in the brachial artery. Ref: Ganong's Review of medical physiology 25th edition. Page:577